Paralysis of 3rd, 4th, 6th nerves with involvement of ophthalmic division of 5th nerve, localizes the lesion to?
1. Cavernous sinus
2. Apex of orbit
3. Brainstem
4. Base of skull

Correct answer: 1. Cavernous sinus

Explanation: CN III, IV, V1, V2, and VI and postganglionic sympathetic fibers en route to the orbit all pass through the cavernous sinus.